In Turner's syndrome which of the following is NOT seen
1. Short stature
2. Widely spaced nipple
3. Webbed neck
4. Intellectual disability

Correct answer: 4. Intellectual disability

Explanation: Ans. is 'd' i.e intellectual disability Intellectual disability is seen in Down & Klienfelter's syndrome but not in Turner's syndrome.Turner's syndrome characterized bvMost common Genotype is XOFemale hypogonadism *Ovarian dysgenesis (Streak Ovaries)*Decreased EstrogenIncreased LH, FSH.Short Statured*Primary Amenorrhoea*Short webbed neck*Broad shield like chest*Cardiac Abnormalities* (coarctation of Aorta* and Aortic Valvular disease)Renal Anomalies (Horse shoe kidney* duplication or hydronephrosis)*Skeletal change s( Cubitus Valgus, short fourth metacarpal and Tarsal bone & osteoporosis)*Skin changes (lymphedema keloid)